Mechanism of action of corticosteroids in asthma is:
1. Decreases mucosal edema by suppressing inflammatory response
2. Mast cell stabilization
3. Causes bronchodilatation
4. Leukotriene antagonist

Correct answer: 1. Decreases mucosal edema by suppressing inflammatory response

Explanation: Ans. A: Decreases mucosal edema by suppressing inflammatory response Glucocorticoids are not bronchodilators. They benefit by reducing bronchial hyperreactivity, mucosal edema and by suppressing inflammatory response to antigen antibody reaction or other trigger stimuli. The main adverse effects of inhaled steroids are caused by the deposition of the drug in the upper airways, resulting in dysphonia, oropharyngeal candidiasis, and cough. These effects may be reduced by rinsing the mouth and use of a spacer device. Systemic adverse effects are clinically relevant only at doses more than 600 microgram/day. They include adrenal suppression, osteoporosis, growth suppression, skin thinning, and easy bruising. Inhaled corticosteroids use is associated with the development of posterior subcapsular and nuclear cataracts. Inhaled steroids are safe during pregnancy.